X-linked dominant disorder:
1. Vitamin D resistant rickets
2. Familial hypercholesterolemia
3. Red green color blindness
4. Achondroplasia

Correct answer: 1. Vitamin D resistant rickets

Explanation: Ans. (a) Vitamin D resistant ricketsRef: Robbins pathology 9th ed. /142Vitamin D resistant ricketsPHEX gene. X linked dominantFamilial hypercholesterolemiaautosomal dominantRed-green color blindnessX linked recessiveAchondroplasiaAutosomal dominantPlease refer to the explanation of more details.